Earliest symptoms showing improvement from the classical triad of Wernicke's encephalopathy to thiamine therapy is:
1. Ataxia
2. Ophthalmoplegia
3. Confusion
4. All improve simultaneously

Correct answer: 2. Ophthalmoplegia

Explanation: Wernicke's encephalopathy - Long term use of alcohol lead to thiamine deficiency . Wernicke encephalopathy, caused by vitamin B1 deficiency, is not diagnosed in about 80% of cases. Classical triad Global confusion Ophthalmoplegia - m/c/c 6th nerve palsy Ataxias After thiamine therapy 1st one to improve is ophthalmoplegia followed by global confusion